Complement Fixation test is:
1. WIDAL
2. Coombs test
3. Wassermann reaction
4. VDRL

Correct answer: 3. Wassermann reaction

Explanation: The complement fixation test (CFT) was extensively used in syphilis serology after being introduced by Wasserman in 1906. However, there is now a trend to replace the CFT with the simple flocculation tests. Although CFT is considered to be a relatively simple test, it is a very exacting procedure because 5 variables are involved. In essence the test consists of two antigen-antibody reactions, one of which is the indicator system. REF: ROBBINS pathology 10th edition